In Emergency contraception which progesteron is used -
1. Norethisterone
2. Modroxy-progesterone
3. Desogestrel
4. Levonorgestrol

Correct answer: 4. Levonorgestrol

Explanation: Ans. is 'd' i.e., Levonorgestrol Postcoital (emergency) pills a) Levonorgestrel 0.5 mg + ethinyl estradiol 0.1 mg --> within 72 hours of unprotected intercourse and repeated after 12 hours - Yuzpe method. b) Levonorgestrel alone 0.75 mg taken twice with 12 hour gap within 72 hours of unprotected intercourse --> method of choice for emergency contraception. c) Mifepristone 600 mg single dose within 72 hours of unprotected intercourse. d) Other methods:- progesterone only pill (mini pills), IUD insertion, High dose estrogens.